1CD 10 has..............chapters:
1. 2
2. 12
3. 22
4. 32

Correct answer: 3. 22

Explanation: 22